Test for coliform count ?
1. Eijkman test
2. Casoni's test
3. Nitrate test
4. Urease test

Correct answer: 1. Eijkman test

Explanation: After analysing presumptive coliform count, E coli count is confirmed by other tests like Eijkmant test and indole production.